Starting material for production of insulin from bacteria is:
1. Genomic DNA from beta pancreatic cells of human
2. Genomic DNA from lymphocytes of human
3. mRNA from beta pancreatic cells of human
4. mRNA from lymphocytes of human

Correct answer: 3. mRNA from beta pancreatic cells of human

Explanation: C i.e. mRNA from beta pancreatic cells of human Starting material for production of insulin from bacterial cells (E.coli) using recombination DNA technology is mRNA from beta pancreatic cells of humanQ.